Which of the following has important role in initiation and maintenance of primitive streak -
1. FGF - 8
2. BMP - 4
3. EGRF
4. Nodal gene

Correct answer: 4. Nodal gene